Intrahepatic cholestasis treatment in pregnancy is:
1. Cholestyramine
2. Ursodiol
3. Steroids
4. Antihistamines

Correct answer: 2. Ursodiol

Explanation: Cholestyramine,a drug which ameliorate pruritis,but will not correct the abnormal LFT and hence is not usually recommended. Ursodeoxycholic acid also used. It increases bile acid excretion and reduces pruritus. Refer page no 280 of Text book of obstetrics,sheila balakrishnan,2 nd edition. And textbook of duttas,9th edition,page 271